Most common complication after ERCP is:-
1. Acute pancreatitis
2. Acute cholangitis
3. Acute cholecystitis
4. Duodenal perforation

Correct answer: 1. Acute pancreatitis

Explanation: Complication of ERCP Complication: Pancreatitis, hemorrhage, cholangitis and perforation MC complication is acute pancreatitis Hemorrhage requires surgical intervention most commonly, sphincterotomy usually is converted into formal surgical sphinteroplasty, which includes the bleeding artery Cholangitis is confined to patients in whom CBD clearance has not been achieved . Perforation may be asymptomatic and noticed only as retroperitoneal gas or extravasation of radiographic contrast material, but even in symptomatic patient, conservative treatment is often effective with spontaneous resolution and avoidance of potentially difficult surgery.